A 25 year old male presnents with weakness, occasional vomiting hypotension, skin and mucous membrane pigmentgation. The diagnosis can be best established by -
1. Metyrapone test
2. Basal plasma Cortisol levle
3. 24-hour urinary 17-Ketosteroid
4. ACTH stimulation test

Correct answer: 4. ACTH stimulation test

Explanation: after administration of ACTH , cortisol level increases. This can be used as an index of the functional reserve of adrenal gland for production of cortisol ( Harrison 17 pg 2252)